Which of the following statements about Histamine is true?
1. Is found in mast cells
2. Increases gastric acid secretion
3. Related to arousal and blood pressure
4. All of the above

Correct answer: 4. All of the above

Explanation: Histamine is a physiologically active amine, C5H9N3, found in plant and animal tissue and released from mast cells as part of the anallergic reaction in humans. It stimulates gastric secretion and causes dilation of capillaries, constriction of bronchial smooth muscle, and decreased blood pressure.Ref: Ganong's review of medical physiology; 24th edition; page no: 149